Most common congenital heart disease during pregnancy -
1. ASD
2. VSD
3. TOF
4. AS

Correct answer: 1. ASD

Explanation: ANS. A. ASDAtrial Septal Defect (ASD) ostium secundum type is the most common congenitalheart disease encountered in pregnancy.